Antibody dependant cell mediated toxicity is seen in?
1. NK cell
2. NK cell only
3. Macrophage
4. NK cells, neutrophils & macrophages

Correct answer: 4. NK cells, neutrophils & macrophages

Explanation: Ans. (d) NK cells, neutrophils & macrophagesAntibody-dependent cell-mediated cytotoxicity (ADCC) is the killing of an antibody-coated target cell by a cytotoxic effector cell through a non-phagocytic process, characterised by the release of the content of cytotoxic granules or by the expression of cell death-inducing molecules. ADCC is triggered through interaction of target-bound antibodies (belonging to IgG or IgA or IgE classes) with certain Fc receptors (FcRs), glycoproteins present on the effector cell surface that bind the Fc region of immunoglobulins (Ig). Effector cells that mediate ADCC include natural killer (NK) cells, monocytes, macrophages, neutrophils, eosinophils and dendritic cells